A post operative cardiac surgery patient developed sudden hypotension, raised Central venous pressure, pulsus paradoxus at the 4th post operative hour .The most probable diagnosis is
1. Excessive mediastinal bleeding
2. Ventricular dysfunction
3. Congestive cardiac failure
4. Cardiac tamponade

Correct answer: 4. Cardiac tamponade

Explanation: Ref Harrison 19 th ed pg 1573-1574 Features of rising pressure , falling arterial pressure and pulsus paradoxus following surgery on the heart leads us to the diagnosis of cardiac tamponade.